A 26 weeks pregnant female presented with HTN for the first time. There is no proteinuria. Diagnosis of such condition
1. Chronic hypertension
2. Eclampsia
3. Gestational Hypertension
4. Preeclampsia

Correct answer: 3. Gestational Hypertension

Explanation: Gestational hypertension - bp > 140/90 , > 20weeks of gestation Pre eclamptic toxemia - gestational hypertension + proteinuria > 300mg Eclampsia - above 2 + convulsions Chronic hypertension - hypertension before she is pregnant